The receptor cells of the olfactory epithelium are
1. Bipolar neurons
2. Unipolar neurons
3. Multipolar neurons
4. Stellate cells

Correct answer: 1. Bipolar neurons